Use of oral contraceptives decreases the incidence of all of the following except :
1. Ectopic pregnancy
2. Epithelial ovarian malignancy
3. Hepatic adenoma
4. Pelvic inflammatory disease

Correct answer: 3. Hepatic adenoma

Explanation: Benefits of combined pills -It effectively controls fertility. -As it causes regular and scanty menstruation, it is useful in menorrhagia and polymenorrhoea. -By virtue of nonovulation, it can relieve dysmenorrhoea and premenstrual tension. -It prevents anaemia by reducing the menstrual loss. -It has proved to lower the incidence of benign breast neoplasia such as fibrocystic disease. -It reduces the incidence of functional ovarian cyst (50%) and ovarian and uterine malignancy. The incidence of ovarian cancer is reduced by 40% and uterine malignancy by 50% if taken for 1 year, and this effect lasts as long as 10 years after stoppage. The risk decreases with duration of its use. -The incidence of PID is reduced, though it does not reach the same low level as seen with the barrier method. This effect is due to the thick cervical mucus caused by progestogen, preventing the organisms entering into the uterine cavity. -Reduced incidence of ectopic pregnancy is due to suppression of ovulation and reduction in PID. -It protects against rheumatoid arthritis. -Reduces the risk of anorectal cancer by 30-40%. -It is useful in acne, PCOD and endometriosis. Reference: Shaw's Textbook of gynaecology 16th edition page no 274